Treatment of choice in hypertension with diabetes mellitus is:
1. Beta-blockers
2. Thiazides
3. ACE inhibitors
4. Calcium channel blockers

Correct answer: 3. ACE inhibitors